Enamel hypoplasia to permanent teeth resulting from trauma to primary teeth is called as
1. Turner’s Teeth
2. Dens evaginatus
3. Pink tooth of mummery
4. None of the above

Correct answer: 1. Turner’s Teeth